50 year old woman presented with bilateral solid ovarian tumors, asitis and ulcerative growth in pyloric region of stomach. What is the preferred diagnosis
1. Carcinoma stomach
2. Ovarian cancer
3. Uterine cancer
4. Duodenal cancer

Correct answer: 1. Carcinoma stomach

Explanation: This is a case of carcinoma stomach with krukenberg tumor